Structure which passes through both greater and lesser sciatic foramen
1. Nerve to quadratus femoris
2. Superior gluteal nerve
3. Nerve to obturator internus
4. Piriformis muscle

Correct answer: 3. Nerve to obturator internus

Explanation: GREATER SCIATIC FORAMEN:- Gateway of gluteal region.1. pyriformis: key muscle of the region. 2. structures passing above pyriformis.A. Superior gluteal nerve B. Superior gluteal vessels. 3. Structures passing below the pyriformis:-Inferior gluteal nerve and vessels.Sciatic nerve Posterior cutaneous nerve of thighNerve to quadratus femorisNerve to obturator internus . Pudendal nerve. Internal pudendal vessels LESSER SCIATIC FORAMEN:-Gateway of the perineal region.1. Tendon of obturator internus2. Pudendal nerve 3. Internal pudendal vessels 4. Nerve to obturator internus. {Reference: BDC 6E pg no.74}